The concentration of NaF in a daily mouth rinse is:
1. 0.20%
2. 0.05%
3. 0.03%
4. 0.01%

Correct answer: 2. 0.05%